Norepinephrine to epinephrine conversion requires which enzyme:
1. Phenylethanolamine-N-methyltransferase
2. Transaldolase
3. Tyrosine hydroxylase
4. Alpha ketoglutarate

Correct answer: 1. Phenylethanolamine-N-methyltransferase

Explanation: Ans:A.)Phenylethanolamine-N-methyltransferaseMethylation of norepinephrine by S-adenosyl-methionine gives epinephrine, reaction being catalysed by phenylethanolamine N-methyltransferase Phenylethanolamine N-methyltransferase (PNMT)It is an enzyme found in the adrenal medulla that converts Norepinephrine (Noradrenaline) to Epinephrine (Adrenaline).PNMT is positively influenced by cortisol, which is produced in the adrenal cortex.S-adenosyl-L-methionine ('SAM') is a required cofactor.